Advantage of epidural anaesthesia includes all except:
1. Adequate analgesia
2. Reduced blood loss
3. Reduced stress response of surgery
4. Slow onset

Correct answer: 4. Slow onset

Explanation: • Advantages of epidural anaesthesia
Profound analgesia
Profound muscle relaxation
No need for intubation
Reduction of surgical haemorrhage
Excellent post operative analgesia
Reduced stress and respons